The gaps between segments of DNA on the lagging strand produced by restriction enzymes are rejoined sealed by
1. DNA Ligases
2. DNA Helicase
3. DNA topoisomerase
4. DNA phosphorylase

Correct answer: 1. DNA Ligases

Explanation: RNA primer is excised by DNA polymerase I creating a gap between okazaki fragments which is filled by DNA polymerase I only, and remaining nick is sealed by DNA ligase.